Lichenoid reactions are mainly due to:
1. Intake of certain drugs
2. Betel nut chewing
3. Cigarette smoking
4. Intake of alcohol

Correct answer: 1. Intake of certain drugs

Explanation: Lichenoid reactions are drug induced and exhibit histopathological features similar to lichen planus. The common drugs implicated in oral Lichenoid reactions are — antihypertensives, NSAIDS, pencillamine followed by dapsone, ketocanazole, streptomycin, sulfamethoxazole, tetracycline, chloroquine, and oral hypoglycemic agents, etc.
Drug induced lichenoid reactions may resolve promptly when the offending drug is eliminated. Disease exhibiting lichenoid reactions include lichen pLanus, erythema multiformae, secondary syphilis and lupus erythematosus